Receptor for the inverse stretch reflex
1. Pacinian corpuscle
2. Meissner’s corpuscle
3. Kraus’ end bulb
4. Golgi tendon

Correct answer: 4. Golgi tendon

Explanation: The receptor for the inverse stretch reflex is in the Golgi tendon organ . This organ consists of a netlike collection of knobby nerve endings among the fascicles of a tendon.